You have checked the blood oestradiol levels of your patient and it comes as 150 pg/ml. The woman is LEAST likely to be in which phase of menstrual cycle?
1. Follicular
2. Ovulation
3. Luteal
4. None

Correct answer: 2. Ovulation

Explanation: The normal oestradiol and progesterone levels during menstrual cycle is given below Oestradiol Follicular phase 30 - 200 pg/ml Ovulation phase 200 - 600 pg/ml Luteal phase 30 - 200 pg/ml Progestrone Follicular phase 0.06 - 3 mg/ml Luteal phase 4.5 - 20 pg/ml Ref: Essentials of Gynaecology by Lakshmi Seshadri, Edition 1, page - 43.